Fohowing are common features in multiple myeloma
1. Body ache and pain
2. Elevated serum globulin
3. Renal failure
4. Hypocalcemia

Correct answer: 4. Hypocalcemia

Explanation: In multiple myeloma, hypercalcaemia occurs due to destruction of bone.

Harsh Mohan textbook of pathology 6th edition pg no 383.